Heat Rupture is characterized by-
1. Regular margins
2. Irregular margins
3. Ruptured blood vessels
4. Ruptured Red Blood cells/clotted blood

Correct answer: 2. Irregular margins

Explanation: Among the given options, only irregular margins are seen in heat rupture.